HIV primarily infects?
1. CD4* cells
2. CD8+ cells
3. NK cells
4. All of these

Correct answer: 1. CD4* cells

Explanation: ANSWER: (A) CD4+ cellsREF: Jawetz, Melnick, & Adelberg's Medical Microbiology, 24TH edition Chapter 44Repeat Microbiology December 2010